Energy requirement in a 15kg normal body weight child is
1. 1000 Kcal/kg
2. 1250 Kcal/kg
3. 1500 Kcal/kg
4. 1750 Kcal/kg

Correct answer: 2. 1250 Kcal/kg

Explanation: In case of energy, advising intakes in excess or below the actual requirements is not safe. Calculation of energy requirement should account for the level of physical activity and the energy required to allow for optimal growth. For children with normal body weights, the energy requirements are calculating roughly as 100 kcal/ kg for the first 10 kg of body weight; between 10 and 20 kg, the requirement is 1000 kcal plus 50 kcal/kg added for weight above 10 kg (e.g. for a 15 kg child, the requirement will be 1250 kcal); and for weight more than 20 kg, 20 kcal/kg is added to 1500 kcal to estimate the requirements (e.g. for a 30 kg child the requirement is approximately 1700 kcal). Reference: Paediatrics; O.P Ghai; 8th edition; Page no: 90